Following are the common histological types of baholingland carcinoma except?
1. Adenocarcinoma
2. Squamous cell carcinoma
3. Adenosquamous carcinoma
4. Transitional cell carcinoma

Correct answer: 4. Transitional cell carcinoma

Explanation: Ans. is 'd' i.e., Transitional cell carcinomaHistological type% of total baholin gland carcinomasAdenocarcinoma40Squamous cell carcinoma40Adenocystic carcinoma15Adenosquamous carcinoma5Transitional cell carcinomarareSmall cell carcinomarare